True about toxoplasmosis -a) Due to ingestion of sporocyst with meatb) Due to ingestion of oocyst from cat's faecesc) Spiramycin given in pregnancyd) Due to bite of anopheles mosquitoe) Mostly symptomatic
1. a
2. c
3. ac
4. bc

Correct answer: 4. bc